The protein synthesis is sorted out at / by
1. Ribosomes
2. Mitochondria
3. Golgi - apparatus
4. Endoplasmic reticulum

Correct answer: 3. Golgi - apparatus

Explanation: (Golgi - Apparatus) (7 RS 7th)Golgi - complex (or Golgi - apparatus) or Dietysomes - Recent evidence suggests strongly that the complex serve as unique sorting device that recieve newly synthesized proteins* The post translational modifications takes place in the golgi lumen (median part) where the carbohydrate and lipid precursors are added to proteins to form glycoproteins and lipo proteins respectively* Ribosomes - are the centre of factories of protein synthesis* Rough Endoplasmic reticulum (RER) synthesizes membrane lipids and secretory proteins**